Phossy jaw is caused by -
1. White phosphorous
2. Red phosphorous
3. Arsenic
4. Antimony

Correct answer: 1. White phosphorous

Explanation: Phossy jaw or glass jaw :. It is osteomyelitis of jawbone (lower jaw) due to chronic white phosphorus poisoning. Initially there is toothache in caries tooth with swelling of gums. There is loosening of teeth, sloughing of gums followed by necrosis, sequestration and osteomyelitis of mandible. REF;THE SYNOPSIS OF FORENSIC MEDICINE:KS NARAYANA REDDY;28th EDITION;PAGE NO 313